The most virulent plasmodium species causing malaria is -
1. Plasmodium vivax
2. Plasmodium falciparum
3. Plasmodium ovale
4. Plasmodium malariae

Correct answer: 2. Plasmodium falciparum

Explanation: The degree of parasitisation is lowest in P. malariae.(quartan malariae) Very high intensity of parasitisation is seen in falciparum malaria.(malignant tertian or pernicious malaria),This is the most highly pathogenic of all the plasmodia and hence the name malignant tertian or pernicious malaria for its infection. The disease has a high rate of complications and unless treated is often fatal. The species is responsible for almost all deaths caused by malaria. TEXTBOOK OF MEDICAL PARASITOLOGY,CKJ PANIKER,6TH EDITION,PAGE NO 81